Which of the following is the earliest sign of ulcerative colitis on double-contrast barium enema study -
1. Mucosal granularity
2. Loss of haustrations
3. 'Collar - button' ulcer
4. Lead pipe colon

Correct answer: 1. Mucosal granularity

Explanation: Earliest radiological change of UC on barium enema is blurring of the mucosal lining and a fine granularity when mucosa is seen enface due to edema.
Earliest radiological change of Crohn's disease → Aphthous lesions (Bull's eye or Target lesions).